Dysthyroid ophthalmopathy all are true except-
1. Proptosis
2. Myopathy
3. Exophthalmos
4. Optic neuritis

Correct answer: 4. Optic neuritis

Explanation: *Three chacteristic Clinical features of dysthyroid ophthalmopathy are retraction if upper lid, proptosis and restrictive extraocular myopathy. Ref: Head &Neck Surgery 2nd/e p.1513